A 50-year-old male presents with hematuria. He is diagnosed of having bladder cancer which extends muscle deep. The best treatment:
1. Intra vesical chemotherapy
2. Neoadjuvant chemotherapy followed by radical cystectomy
3. Radiotherapy
4. Transurethral resection

Correct answer: 2. Neoadjuvant chemotherapy followed by radical cystectomy

Explanation: Ans. (b) Neoadjuvant chemotherapy followed by radical cystectomyRef: Bailey 26th Edition, Page 1335* Neoadjuvant chemotherapy improves survival by about 5 -7 %. Radical cystectomy is the standard treatment for muscle invasive bladder cancer.